A 23-year-old woman is diagnosed with SLE. Which of the following organ system complications is she most likely to have over the course of her lifetime?
1. Cardiopulmonary
2. Cutaneous
3. Renal
4. Musculoskeletal

Correct answer: 4. Musculoskeletal

Explanation: SLE is a multisystem disease with diverse organ involvement. The most common system to be involved is the musculoskeletal system. Most commonly as arthralgias or myalgias. Arthritis is also common and is one of the diagnostic criteria for SLE.